Adverse neurological outcome is usually seen in what percentage of babies with stage 2 HIE?
1. 10%
2. 20%
3. 30%
4. 50%

Correct answer: 2. 20%

Explanation: Adverse neurological outcome is usually seen in 20% of babies with stage 2 HIE. In stage 3: 50% neonates die & rest 50% have poor neurological outcome.